Maximum Flexion in thoracic vertebrae occurs at -
1. Upper thoracic
2. Middle thoracic
3. Lower thoracic
4. Same at all level

Correct answer: 3. Lower thoracic

Explanation: Ans. is 'c' i.e.,Lower thoracicFlexion (forward flexion) and lateral flexion (bending) -> Maximum at lower thoracic.Rotation - Maximum at mid-thoracic.FlexionExtensionLateral flexionRotationUpper thoracic - 8-9.5deg7-9-5deg throughoutUpper thoracic 55-6degUpper thoracic - 12-16degMid-thoracic 10-11.5deg Mid thoracic -> 7.8-8degMid thoracic - 21.5-25degLower-thoracic: 12.5-13deg Lower thoracic - 12-13degLower thoracic - 8.5-12deg